Which of the following chemical can cause contact leucoderma?
1. PTBP
2. DEC
3. Clofazimine
4. BACA

Correct answer: 1. PTBP

Explanation: Para tertiary butyl phenol (PTBP) is a adhesive used in sticker bindhi that can cause contact leucoderma.